The amount of X-rays which undergo Compton scattering are:
1. 7%
2. 23%
3. 57%
4. 70%

Correct answer: 3. 57%

Explanation: Compton scattering occurs when a photon interacts with an outer orbital electron. About 57% of interactions in a dental X-ray beam exposure involve Compton scattering.